Condition which builds within hemithorax resulting in collapsed lung, flattened diaphragm, contralateral mediastinal shift and compromised venous return to right side of heart is known as:
1. Open pneumothorax
2. Flail chest
3. Massive pulmonary hemorrhage
4. Tension pneumothorax

Correct answer: 4. Tension pneumothorax

Explanation: Ans. D: Tension pneumothorax Tension pneumothorax is the accumulation of air under pressure in the pleural space. This condition develops when injured tissue forms a 1-way valve, allowing air to enter the pleural space and preventing the air from escaping naturally. Arising from numerous causes, this condition rapidly progresses to respiratory insufficiency, cardiovascular collapse, and, ultimately, death if unrecognized and untreated. Favorable patient outcomes require urgent diagnosis and immediate management.